Killing of Thyroid Cancer cells By I-131 is mainly by
1. Alpha Rays
2. X rays
3. Beta Rays
4. Gamma Rays

Correct answer: 3. Beta Rays

Explanation: *I-131 produces both Gamma and Beta Rays, but killing of thyroid cancer is mainly done by Beta Rays.